Firefilies produce light due to:
1. NADH
2. GTP
3. ATP
4. Phosphocreatinine

Correct answer: 3. ATP

Explanation: C i.e. ATP In firefly, ATP is used in a set of reactions that convert chemical energy into light energyQ. So fire fly flashes are glowing reports of ATP (i.e. flashes in firefly indicate presence of ATP & SOLIFE)Q